The level of blister formation in bullous pemphigoid is -
1. Intra epidermal
2. Sub epidermal
3. Subcorneal
4. None of the above

Correct answer: 2. Sub epidermal

Explanation: Ans. is 'b' i.e., Sub epidermal Site of blistersIntraepidermalSubepidermal (Dermo-epidermal)1) Subcorneal (granular layer)1) Junctional (at Basal lamina)o Blister is in granular layer or just below stratum corneumi) Junctional epidermolysis bullosaii) Bullous pemphigoidiii) Toxic epidermal necrolysi si) Pemphigus foliaceous & erythmatosusii) Staphylococcal scalded skin syndromeiii) Miliaria crystalinaiv) Bullous impetigov) Friction blistervi) Subcorneal pustulai dermatosis2) Dermolytic (Below basal lamina)i) Epidermolysis bullosa acquisitaii) Epidermolysis bullosa dystrophicansiii) Dermatitis herpetiformisiv) Deep burnsv) Porphyria cutanea tarda2) Spinous layero Blisters are within spinous layeri) Eczematous (atopic) dermatitisii) HSV/VZV infectioniii) Molluscum contagiosumiv) Familial benign pemphigus (Hailey-Hailey disease)3) Suprabasalo Blisters are between stratum basale and other superficial layers of epidermisi) Pamphigus vulgarisii) Darrier's disease4) Basal layero Blisters are within basal layeri) Erythema multiformeii) Epidermolysis bullosa simplex